All are true about salmonella hepatitis except:
1. High grade fever with relative bradycardia
2. Biochemical profile suggestive of infiltrative liver disease pattern
3. Usually Anicteric
4. ALT / LDH ratio will be >5

Correct answer: 4. ALT / LDH ratio will be >5

Explanation: SALMONELLA HEPATITIS High fever / Relative bradycardia . Biochemical profile suggestive of infiltrative process . Disproportionately increased ALP is seen Many cases are anicteric ALT / LDH ratio is <4 . If the ratio is >5 is suggestive of viral hepatitis . liver histology show ballooning degeneration with vacuolation and biliary canalicular injury Occasionally lymphoid models seen. Fluoroquinolone is the therapy of choice. Other useful drugs- Azithromycin/ ceftriaxone / Cefotaxime. Ref: schiff's diseases of liver : E - 11.P-233.